A post-mortem clot is most likely to:
1. Grossly display features of recanalization
2. Grossly have lines of Zahn
3. Grossly have the appearance of “chicken fat” overlying “currant jelly”
4. Microscopically appear attached to the wall of the blood vessel

Correct answer: 3. Grossly have the appearance of “chicken fat” overlying “currant jelly”

Explanation: The postmortem clot is usually rubbery, gelatinous, and lacks fibrin strands and attachments to the vessel wall. Large postmortem clots may have a “chicken fat” appearance overlying a dark “currant jelly” base.